Which is the best substitute for esophagus?
1. Jejunum
2. Stomach
3. Left sided colon
4. Right sided colon

Correct answer: 2. Stomach

Explanation: Gastric conduit is based on right gastric and right gastroepiploic vessels